If thiopentone is injected accidently into an artery the first symptom is
1. Analgesia
2. Paralysis
3. Skin ulceration
4. Pain

Correct answer: 4. Pain

Explanation: D i.e. Pain